Which of the following infections is not documented to be spread sexual contact?
1. HAV
2. HBV
3. HCV
4. HEV

Correct answer: 4. HEV

Explanation: HEV- is not documented to be spread sexual contact